Antiinflammatory action of steroid is due to inhibition of-
1. Cyclooygenase
2. Lipooxygenase
3. Phospholipase A2
4. Myeloperoxidase

Correct answer: 3. Phospholipase A2

Explanation: Ans. is 'c' i.e., Phospholipase A2 Anti-inflammatory action of corticosteroids:* Irrespective of the type of injury or insult, the attending inflammatory response is suppressed by glucocorticoids.* This is the basis of most of their clinical uses.* The action is nonspecific and covers all components and stages of inflammation. This includes reduction of increased capillary permeability, local exudation, cellular infiltration, phagocytic activity and late responses like capillary proliferation, collagen deposition, fibroblastic activity, and ultimately scar formation.* The action is direct and local-topical use is possible.* The cardinal signs of inflammation-redness, heat, swelling, pain are suppressed.* Glucocorticoids interfere at several steps in the inflammatory response but the most important overall mechanism appears to be limitation of recruitment of inflammatory cells at the local site and production of proinflammatory mediators like PCs, LTs, PAF through inhibition of phospholipase A2.* Corticoids are only palliative, do not remove the cause of inflammation; the underlying disease continues to progress while manifestations are dampened.* They favour spread of infections because capacity of defensive cells to kill microorganisms is impaired.* They also interfere with healing and scar formation: peptic ulcer may perforate asymptomatically.* Indiscriminate use of corticoids is hazardous.